Best investigation for Diffuse Esophageal Spasm :
1. Enteroscopy
2. Manometry
3. Barium enema
4. Barium meal follow through

Correct answer: 2. Manometry

Explanation: Ans- B Manometry For Motility disorders:: First line is UGIE IOC IS Manometry For GERD::1st line is UGIE IOC :24 hr ambulatory pH measurement.